Intraocular calcification in the eye in a child is seen in
1. Toxocara
2. Retinoblastoma
3. Angiomatosis retinae
4. Malignant melanoma of choroid

Correct answer: 2. Retinoblastoma

Explanation: (Refer: AK Khurana Comprehensive Ophthalmology, 6th edition, pg no. 303) *In retinoblastoma, there are areas of necrosis and calcification *In the presence of calcification, endophytic retinoblastoma gives the typical 'cottage cheese' appearance